MRI finding of face of panda appearance is seen in
1. Wilson disease
2. Menke disease
3. Huntington chorea
4. Parkinsonism

Correct answer: 1. Wilson disease

Explanation: Ans. (a) Wilson disease